Classic tetrad of narcolepsy includes all, except:
1. Hypnagogic hallucination
2. Sleep attacks
3. Sleep paralysis
4. Catalepsy

Correct answer: 4. Catalepsy

Explanation: Ans. Catalepsy